Concept of bonding onto tooth was first described by
1. Rochette
2. Livaditis
3. Tanaka
4. Thompson

Correct answer: 1. Rochette

Explanation: In 1973, Rochette introduced the concept of bonding metal to teeth using flared perforations of the metal casting to provide mechanical retention. He used the technique principally for periodontal splinting, but also included pontics in his design.